'A 46 years-old male patient has Cushing's syndrome due to the adrenal tumor. Which of the following drugs would be expected to reduce the symptoms in this case?
1. Betamethasone
2. Cortisol
3. Fludrocortisone
4. Ketoconazole

Correct answer: 4. Ketoconazole

Explanation: High dose Ketoconazole has been used in Cushing's syndrome to decrease corticosteroid production ketoconazole- steroid synthesis inhibitor (Ref. Essentials of medical pharmacology TD Tripathi 7th edition page no.793.)